Complication of fracture scaphoid is
1. Avascular necrosis of distal part
2. Injury to radial artery
3. Injury to radial nerve
4. Avascular necrosis of proximal part

Correct answer: 4. Avascular necrosis of proximal part

Explanation: D i.e. Avoscular